A 50 year old male suffering from renal failure, underwent kidney transplant. He was prescribed a nucleotide derivative following the organ transplant. The nucleotide derivative of therapeutic importance in this organ transplant is -
1. Azathioprine
2. 5-Fluorouracil
3. cytarabine
4. allopurinol

Correct answer: 1. Azathioprine

Explanation: Ans. is 'a' i.e., Azathioprine o All of the drugs given in the question are nucleotide analogues. o Out of these drugs only Azathioprine has got significant immunosuppressive property. So it can be used in the prevention of graft rejection